Which structure does NOT lie in the coronary sulcus?
1. Circumflex artery
2. Coronary sinus
3. Right coronary artery
4. Right marginal artery

Correct answer: 4. Right marginal artery

Explanation: The coronary sulcus is the groove which separates the atria from the ventricles. The right and left coronary arteries, circumflex artery, and coronary sinus all lie in this groove. The right marginal artery is a branch of the right coronary artery which lies on the right ventricle and supplies that chamber of the heart.